Esthetics starts with:
1. Taking impression
2. Occlusal rims
3. Teeth setting
4. Selection of teeth

Correct answer: 1. Taking impression